Kanavel's sign is seen:
1. Flexor tendon sheath infectious inflammation in the hand
2. Mid palmar space abscess
3. Ulnar bursa
4. Web space involvement

Correct answer: 1. Flexor tendon sheath infectious inflammation in the hand

Explanation: Ref: Orthopaedic dictionary by Stanley Hoppenfeld, Michael S. Zeide, page 190 & Wheeless' Textbook of Orthopaedics - 'Infectious flexor tenosynovitis' (online textbook)Explanation:Kanavel's signIt is a clinical sign found in patients with infection of a flexor tendon sheath in the hand, a serious condition which can result in rapid loss of function of the affected finger.The sign consists of four components:- The affected finger is held in slight flexion.- There is fusiform swelling over the affected tendon.- There is tenderness over the affected tendon.- There is pain on passive extension of the affected finger.The sign is named after Allen B. Kanavel.